Which of the following is CA for Bag and mask ventillation -
1. Septicemia
2. Tracheoesophageal fistula
3. Meconium aspiration
4. Diaphragmatic hernia

Correct answer: 4. Diaphragmatic hernia

Explanation: Ans is 'd' ie diaphragmatic hernia Bag & mask ventilation is contraindicated in diaphragmatic hernia. Reason - In diaphragmatic hernia the abdominal contents have herniated into the thoracic cavity and are compressing the lung. By using bag and mask ventilation air will also move into the GIT along with the lung. More air in the stomach and intestines will cause more compression on the already compressed lung.